What is the method of sampling in which the units are picked up at regular intervals from the universe-
1. Simple random sampling
2. Systematic random sampling
3. Stratified random sampling
4. Snow - ball sampling

Correct answer: 2. Systematic random sampling